A newborn has his leg inverted and the dorsum of his foot does not touch the front of tibia. What is the diagnosis of this condition?
1. Congenital vertical talus
2. Congenital talipes equino varus
3. Cerebral palsy
4. Poliomyelitis

Correct answer: 2. Congenital talipes equino varus

Explanation: Congenital clubfoot (equinovarus foot; talipes equinovarus): It is characterized by fixed ankle plantar flexion (equinus), inversion and axial internal rotation of the subtalar (talocalcaneal) joint (varus), and medial subluxation of the talonavicular and calcaneocuboid joints (adductus). The typical radiographic findings of incompletely treated clubfoot include the following features: Presence of hind foot plantar flexion; Lack of the normal angular relationship between the talus and calcaneus (so-called parallelism of talus and calcaneus); and Residual medial subluxation or displacement of the navicular on the talus and the cuboid on the calcaneus. Ref: Rab G.T. (2006). Chapter 11. Pediatric Orthopedic Surgery. In H.B. Skinner (Ed), CURRENT Diagnosis & Treatment in Orthopedics, 4e.